Neuro adaptation to drug is same as
1. Physical dependence
2. Psychological dependence
3. Addiction
4. Habituation

Correct answer: 1. Physical dependence